Bone marrow transplantation is used a treatment modality in all of the following conditions except:
1. Adrenoleukodystrophy
2. Hemochromatosis
3. Hurler's Syndrome
4. Osteopetrosis

Correct answer: 2. Hemochromatosis

Explanation: Hemochromatosis is an autosomal recessive disease caused by a mutation in the HFE gene on chromosome 6. It is characterized by excess absorption of iron and deposition in tissues. Treatment of this condition includes weekly phlebotomies or use of chelating agent deferoxamine. Bone marrow transplantation is not indicated in its treatment. Ref: Current Medical Diagnosis and Treatment, 2012, Chapter 16 ; Cellular Proteins and Their Fatty Acids in Health and Disease, Edited By Asim K. Duttaroy, Page 58 ; Atlas of Genetic Diagnosis and Counseling By Harold Chen, Page 777 ; Harrison's Internal Medicine, 18th Edition, Chapter 355 ; Adams & Victor's Principles of Neurology, 9th Edition, Chapter 37